A person having CD4 count of 200 presents with difficulty of breathing. The most probable diagnosis is?
1. Tuberculosis
2. Histoplasmosis
3. Candidiasis
4. Pneumocystis jiroveci

Correct answer: 4. Pneumocystis jiroveci

Explanation: Pneumocystis pneumonia is the most common opportunistic infection associated with AIDS. The risk of Pneumocystis jiroveci pneumonia among HIV- infected patients rises markedly when circulating CD4+ T cell counts fall below 200 cells/L. Tuberculosis in HIV patients occur when CD4 count is 100 cells/L. Ref: Manual of Emergency Medicine edited by Jon L. Jenkins, G. Richard Braen, 2004, Page 302 ; Harrison's Principles of Internal Medicine, Volume 2, Page 1267 ; Harrison's 17th ed chapter 182